Progressive pterygium causes:
1. Myopia
2. Hypermetropia
3. Astigmatism
4. Cataract

Correct answer: 3. Astigmatism

Explanation: Ans: c (Astigmatism) Ref: AK Khurana, 4th ed, p. 81Corneal astigmatism may occur in pterygium due to fibrosis in regressive stage.Pterygium:* Wing shaped fold of conjunctiva encroaching cornea from either side within the palpebral fissure* Degeneration & hyperplastic condition of conjunctiva* May be unilateral or bilateral, usually starts nasally (triangular fold of conjunctiva)* Symptoms-usually asymptomatic- Visual disturbance due to corneal astigmatism]- Diplopia* Psuedopterygium- Due to chemical bums* Treatment-Surgical excisionRecurrent recalcitrant pterygium - Surgical excision + lamellar keratectomy+lamellar keratoplasty